Elongated filaments in Pick's disease consist of -
1. Hyperphosphorylated tau
2. Ubiquitin
3. Alpha-synuclein
4. Beta-synuclein

Correct answer: 1. Hyperphosphorylated tau